Which among the following is a venodilator?
1. Hydralazine
2. Minoxidil
3. Lisinopril
4. Nitroprusside

Correct answer: 4. Nitroprusside

Explanation: Ans: d (Nitroprusside) Ref: KDT, 6 ed, p. 504Sodium nitroprusside is a combined arteriolar and venodilator. whereas all other given drugs are mainly arteriolar dilatorsrvasodilators ArterialVenousMixedHydralazineGTNACE inhibitorMinoxidilisosorbide dinitriteATi antagonistDiazoxide PrazosinCalcium channel blockers Amrinone, milrinone Sodium N itroprussideDiazoxideRelaxes resistance vessels, without any effect on capacitance vessels.(K+ channel opener)HydralazineA directly acting arteriolar dilator with little action on venous capacitance vessels.MinoxidilPattern of action resembles hydralazine.(A/E: excess hair growth on face, back and arms.)ACE inhibitorsArterioles dilate and the compliance of large arteries is increased.